Patient had an injury to thumb causing thumb abduction. Which of the following can happen?
1. Game keepers thumb
2. Bohlers thumb
3. Kaplan injury
4. Mallet finger

Correct answer: 1. Game keepers thumb

Explanation: Thumb abduction leads to ulnar collateral ligament damage. It is the most common injury of metacarpal phalangeal joint. Game keeper's thumb occurs due to forceful abduction of thumb. Mallet finger involves DIP of fingers and occurs due to hyperextension. Kaplan injury occurs in 2nd MCP joint as it is a flexion injury. Bowler's thumb occurs in bowling and there is nerve involvement.